A steel worker presented with noise induced hearing loss, which part of inner ear is most likely affected?
1. Inner hair cell
2. Outer hair cell
3. Macula
4. Cupula

Correct answer: 2. Outer hair cell

Explanation: NIHL cause damage to hair cells, starting in the basal turn of cochlea. Outer hair cells are affected before the inner hair cells. Outer hair cells are more in number and rows. More sensitive to noise induced hearing loss as well as to ototoxic drugs. Stereocilia of outer hair cells first to be affected by noise induced hearing loss.